Malabsorption is caused by all, EXCEPT:
1. Giardia
2. Ascaris lumbricoides
3. Strongyloides
4. Capillaria philippinensis

Correct answer: 2. Ascaris lumbricoides

Explanation: Ascaris lumbricoides is the largest intestinal nematode parasite of humans, reaching up to 40 cm in length. Most infected individuals have low worm burdens and are asymptomatic. Clinical disease arises from larval migration in the lungs or effects of the adult worms in the intestines. It doesnot cause malabsorption. G. lambia may cause irritation and low-grade inflammation of the duodenal or jejunal mucosa, with consequent acute or chronic diarrhea associated with crypt hypertrophy, villous atrophy or flattening, and epithelial cell damage. Stools may be watery, semisolid, greasy, bulky, and foul smelling at various times during the course of the infection. Strongyloides damages intestinal mucosa and causes malabsorption syndrome. Intestinal capillariasis is caused by ingestion of raw fish infected with Capillaria philippinensis. Subsequent autoinfection can lead to a severe wasting syndrome. If untreated, progressive auto infection can lead to protein-losing enteropathy, severe malabsorption, and ultimately death from cachexia, cardiac failure, or superinfection. Ref: Weller P.F., Nutman T.B. (2012). Chapter 217. Intestinal Nematode Infections. In D.L. Longo, A.S. Fauci, D.L. Kasper, S.L. Hauser, J.L. Jameson, J. Loscalzo (Eds), Harrison's Principles of Internal Medicine, 18e.